The most common cause of Kaposi sarcoma?
1. HHV7
2. HHV8
3. HHV9
4. HHV6

Correct answer: 2. HHV8

Explanation: Human herpesvirus type 8 is believed to be the cause of most cases of Kaposi's sarcoma. Roseola Infantum (Exanthem Subitum)has more than one cause: the most common is human herpesvirus type 6 and, less frequently, human herpesvirus type 7. Ref:Harrison's Principles of Internal Medicine, 18e, Chapter 119.Introduction to Infectious Diseases.